Angular conjunctivitis is caused by which of the following organism
1. Fungus
2. Bacteroides
3. Virus
4. Moraxella

Correct answer: 4. Moraxella